Chronic pancreatitis is seen in all except
1. Chronic renal failure
2. Intraductal mucinous carcinoma
3. Alcohol
4. None of the above

Correct answer: 4. None of the above

Explanation: Etiology of Chronic Pancreatitis Heavy alcohol consumption is MC cause of CP (70-80%) Smoking increases the risk of alcohol induced CP Other causes: Chronic duct obstruction, trauma, pancreas divisum, cystic dystrophy of the duodenal wall, Hyperparathyroidism, hypertriglyceridemia, autoimmune pancreatitis, tropical pancreatitis & hereditary pancreatitis (accounts for <10% of all cases Ref: Harrison's 19th edition Pgno :2098